The drug of choice for acute left ventricular failure?
1. IV furosemide
2. IV Aminophylline
3. IV digitalization
4. Rapid digitalization

Correct answer: 1. IV furosemide

Explanation: Ans. is 'a' i.e., IV furosemide o A loop diuretics, e.g. furosemide is the mainstay of therapy.